Which of the following is not a feature of bronchial asthma?
1. Thickening of bronchial wall
2. Increase in number of airway goblet cells
3. Fibroblastic foci
4. Sub-basement membrane fibrosis

Correct answer: 3. Fibroblastic foci

Explanation: Fibroblastic foci (exuberant proliferation of fibroblasts) is a feature of idiopathic pulmonary fibrosis (IPF). Bronchial asthma is an example of Type I Hypersensitivity reaction and is characterised by airway remodeling which includes: Thickening of bronchial wall with hypertrophy and/or hyperplasia of bronchial smooth muscles Increase in size of submucosal glands and number of goblet cells Increased vascularity Sub-basement membrane fibrosis (due to deposition of type I and III collagens) Key points - Sputum findings in bronchial asthma: Curshmann spirals - impacted mucin plugs Charcot Leyden crystals - Eosinophil crushing artefact Creola bodies - damaged respiratory epithelial cells